Festooned pupil results from:
1. Irregular dilatation of pupil with atropine in the presence of segmental posterior synechiae
2. Annular synechiae
3. Occlusion pupillae
4. All of the above

Correct answer: 1. Irregular dilatation of pupil with atropine in the presence of segmental posterior synechiae

Explanation: Ans. Irregular dilatation of pupil with atropine in the presence of segmental posterior synechiae